In HIV infected individual Gram stain of lung aspirate shows yeast like morphology. All of the following are the most likely diagnosis except ?
1. Candida tropicalis
2. Cryptococcus neoformans
3. Pencillium marneffi
4. Aspergillus fumigates

Correct answer: 4. Aspergillus fumigates

Explanation: Ans. is `d' i.e., Aspergillus fumigates In this question the positive organism should fulfill the following two criteria: Causes lung infection in immunocompromised individual The organism should have a yeast like morphology Among the organism mentioned in the question Aspergillus fumigatus does not fulfill the above mentioned criterias. - It causes lung infection in immunocompromised patient but it does not occur in yeast like form. Microscopic appearance ofAspergillus fumigatus: - Non pigmented septate mycelium with characteristic dichotomous branching and an irregular outline. All the other fungi mentioned in the question occur in yeast like form. Penicillium marneffi (Greenwood micro 16th/e p. 588, Jawetz 22"d/e p. 555) . It is a dimorphic fungus . It forms yeast like cells that are often intracellular resembling histoplasmosis . It causes systemic infections in AIDS patients in Asia Candida tropicalis (Anantnarayan Th/e p. 617) . All candida species can occur in yeast like form . Bronchopulmonary candidiasis can occur as a rare complication of preexisting pulmonary or systemic disease. Crvptococcus neoformans . Microscopy reveals capsulated yeasts It can cause lung infection in AIDS patient.